First trimester USG finding in Down syndrome?
1. Nuchal thickening
2. Nuchal translucency
3. Cardiac anomalies
4. GI anomalies

Correct answer: 2. Nuchal translucency

Explanation: Ans. is 'b' i.e., Nuchal translucency